Toxic adenoma on scanning appear as
1. Hot nodule
2. Cold nodule
3. Warm nodule
4. Neutral

Correct answer: 1. Hot nodule